A 40 -- years -- old woman presented to the gynecologist with complaints of profuse vaginal discharge. There was no discharge from the cervix on the speculum examination. The diagnosis of bacterial vaginosis was made based upon all of the following findings on microscopy except :
1. Abundance of gram variable coccobacilli
2. Absence of Lactobacilli
3. Abundance of polymorphs
4. Present of clue cells

Correct answer: 3. Abundance of polymorphs

Explanation: Ans. is c i.e. Abundance of polymorphs In Bacterial vaginosis, polymorphs are either absent or there is only a slight increase.